Disease of Basal ganglia dysfunction are all except
1. Alzheimer's disease
2. Parkinsonism
3. Chorea
4. Athetosis

Correct answer: 1. Alzheimer's disease

Explanation: Alzheimer disease is the most common age-related neurodegenerative disorder. Memory decline initially manifests as a loss of episodic memory, which impedes recollection of recent events. Loss of short-term memory is followed by general loss of cognitive and other brain functions, the need for constant care, and, eventually, death.Ref: Ganong's review of medical physiology 23rd edition Page no: 294